Faget's sign is seen in-
1. Plague
2. Anthrax
3. Enteric fever
4. Meningococcal meningitis

Correct answer: 3. Enteric fever

Explanation: Faget's sign: It is the unusual pairing of fever with bradycardia instead of tachycardia. * Also known as sphygothermic dissociation. Faget sign can be applied primarily to Gram negative intracellular bacteria, intracellular parasites and viruses responsible for hemorrhagic fever. One exception to this rule is Leptospira, which is a Gram negative extracellular organism associated with relative bradycardia. Faget sign has been recorded with Salmonella typhi (Typhoid Fever); Yellow Fever (viral hemorrhagic disease); C. burnetii (Q Fever); Legionella; Chlamydia; Mycoplasma; Tularemia; Colorado Tick Fever (Coltivirus);